Height of child acq uire 100 cm in-
1. 2.5 year
2. 3.5 year
3. 4.5 year
4. 5.5 year

Correct answer: 3. 4.5 year

Explanation: Ans. is 'c' i.e., 4.5 year o A child acquire height of 160 cm by age of 4Yi year.AgeHeightBirth50 cm3 Month60 cm9 Month70 cm1 Year75 an2 Year90 cm4 1/2 Year100 cm